Confirmatory test for syphilis is-rpt qun
1. FTA-ABS
2. VDRL
3. PCR
4. Culture and sensitivity

Correct answer: 1. FTA-ABS

Explanation: rpt qun